Normal value of Anti-Mullerian Hormone is
1. <1 ng/ml
2. 2--6.8 ng/mL
3. 6.8--10 ng/ml
4. >10ng/ml

Correct answer: 2. 2--6.8 ng/mL

Explanation: AMH is a peptide secreted by the Sertoli cells in the testis and granulosa cells in the ovary. In the males, it inhibits the development of the Mullerian system. The absence of AMH results in the hermaphrodite. In the female, AMH is secreted by the granulosa cells after puberty. It helps in the follicular development and oocyte maturation. Normal value is 2-6.8 ng/mL; level <1ng/mL shows poor ovarian reserve, >10 ng/mL is seen in PCOD and hyperstimulation syndrome. Its level is related to precocious and delayed puberty, infertility and premature menopause. Its level is related and reflects the number of growing follicles. Estimation of serum AMH is used in the study of ovarian reserve in an infertile woman and a woman with secondary amenorrhoea. In in vitro fertilization programme, it carries a prognostic value and helps to decide on donor egg.Reference: Shaw's Textbook of Gynecology; 16th edition; Chapter 3; Physiology